All the following are causes of hyperthermia except
1. Cerebral hemorrhage
2. Succinyl Choline
3. Pheochromocytoma
4. Hypothyroidism

Correct answer: 4. Hypothyroidism